Pond's fracture is most common in :
1. Children
2. Elderly
3. Adolescent
4. Middle aged women

Correct answer: 1. Children

Explanation: A i.e. Children